A 65-year-old man has urine output of 10 mL/h following abdominal aortic aneurysmectomy. Acute tubular necrosis is suggested by the presence of which of the following?
1. Urine osmolality of more than 500 mOsm/kg
2. Urine sodium of more than 40 mEq/L
3. Fractional excretion of sodium of <1%
4. Blood urea nitrogen (BUN)-to-serum creatinine ratio (SCR) of more than 20

Correct answer: 2. Urine sodium of more than 40 mEq/L

Explanation: Oliguria-Acute tubular necrosis -Intrinsic Renal Failures Prerenal Failures Intrinsic Renal Failures Urine osmolality (mOsm/kg) >500 <350 Urine sodium (mEq/L) <20 >40 Fractional excretion of sodium <1% >2% BUN/SCR >20 <10 Urine/PCR >40 <20